Which of the following markers are seen in Primary effusion lymphoma?
1. CD30, CD138
2. CD20, CD28
3. CD19, CD20
4. CD29, CD30

Correct answer: 1. CD30, CD138

Explanation: C030, CD138 Primary effusion lymphoma is a.k.a. Body cavity-based lymphoma It is caused by EBV+ Kaposi sarcoma virus (HHV-8). Mostly, seen in HIV-AIDS patients. Markers: The lymphoma cells usually express CD45 but lack pan-B-cell markers such as CD19, CD20, and CD79a. Activation and plasma cell-related markers and a variety of non-lineage associated antigens such as HLA-DR, CD30, CD38, VS38c, CD138, and EMA are often demonstrable.